Which of the following are not included in Gurd's criteria?
1. Central nervous system depression disproportionate to hypoxaemia
2. Tachycardia<1l0bpm
3. Deep vein thrombosis
4. Axillary or subconjunctival petechiae

Correct answer: 3. Deep vein thrombosis

Explanation: Ans. c. Deep vein thrombosis